Defense mechanism in phobia is:
1. Sublimation
2. Displacement
3. Substitution
4. Projection

Correct answer: 2. Displacement

Explanation: Displacement